A 7 year old presented with intermittent abdominal cramps, loose stool and on stool examination eggs of size 100µm are seen, which is not the cause -
1. Fasciola gigantica
2. Echinostoma iliocanum
3. Gastrodiscoides hominis
4. Opisthorcis viverni

Correct answer: 4. Opisthorcis viverni